Not a indication for admission in pneumonia -
1. Fever of 39°c
2. Cyanosis
3. Chest retraction
4. Not feeding well

Correct answer: 1. Fever of 39°c